Exclusive breast feeding is advised till what age-
1. 3 months
2. 6 months
3. 9 months
4. 10 months

Correct answer: 2. 6 months

Explanation: Ans. is 'b' i.e., 6 month